Bagassosis is due to inhalation of
1. Cotton dust
2. Sugarcane dust
3. Tobacco dust
4. Rice barn dust

Correct answer: 2. Sugarcane dust